Transamination of pyruvate with glutamate produces
1. Oxaloacetate & aspartate
2. Alanine & aspartate
3. Oxaloacetate & α-ketoglutarate
4. Alanine & α-ketoglutarate

Correct answer: 4. Alanine & α-ketoglutarate

Explanation: Two most important transamination reactions are catalyzed by alamine transminase (ALT) and aspartate transaminase (AST).